Burton's line is seen in:
1. Lead poisoning
2. Arsenic poisoning
3. Phosphorus poisoning
4. Zinc poisoning

Correct answer: 1. Lead poisoning

Explanation: Ans. Lead poisoning